All the following are bulk forming laxatives except
1. Polycarbophil
2. Psyllium
3. Methylcellulose
4. Glycerin

Correct answer: 4. Glycerin

Explanation: Glycerin is hyperosmotic laxative.Ref: Katzung 13thed.Pg 1090